Sexual perversion in which one has the desire to see other person/wife having sex with others is?
1. Sadism
2. Exhibitionism
3. Voyeurism
4. Fetishism

Correct answer: 3. Voyeurism

Explanation: Ans is 'c' i.e. Voyeurism * Watching sexual activity of other people or the body parts of members of opposite sex is k/a Voyeurism.